Disinfection duration of alginate impressions when immersion method is used should not exceed
1. 10 min
2. 20 min
3. 5 min
4. 30 min

Correct answer: 1. 10 min